Turbinate that articulates with ethmoid is:
1. superior
2. Middle
3. Inferior
4. All the above

Correct answer: 3. Inferior

Explanation: Middle turbinate and superior turbinate are a part of the ethmoidal bone where as inferior turbinate is an independant bone which articulates with the ethmoid bone,completing the medial wall of Nasolacrimal duct. Ref. Scotts Brown 7/e,Vol 2 p 1329.